All the following can occur in a neonate for heat production except –
1. Shivering
2. Breakdown of brownfat with adrenaline secretion
3. Universal flexion like a fetus
4. Cutaneous vasoconstriction

Correct answer: 1. Shivering

Explanation: "Always remember that newborn cannot produce heat by shivering."
Thermogenesis in Newborn 

A newborn is more prone to develop hypothermia because of a large surface area per unit of body weight.
A low birth weight baby has decreased thermal insulation due to reduced subcutaneous and brown fat.